Which of the following is not derived from 1st pharyngeal pouch?
1. Middle ear
2. Eustachean tube
3. Tympanic membrane
4. Palatine tonsils

Correct answer: 4. Palatine tonsils

Explanation: Ans. D Palatine tonsilsRef: I.B. Singh, 9th ed. pg. 1118; Fundamental Anatomy By Walter Carl Hartwig, pg. 185* First pharyngeal pouch is located between 1st and 2nd pharyngeal arch* Palatine tonsil is a derivative of 2nd pharyngeal pouch* Eustachean tube, Middle ear, mastoid antrum and tympanic membrane is derived from 1st pharyngeal pouch.